Epogen can be given in?
1. Anemia of chronic Renal failure
2. Aplastic anemia
3. Hemolytic anemia
4. Anemia of chronic disease

Correct answer: 1. Anemia of chronic Renal failure

Explanation: Anemia of chronic Renal Failure REF: 11th edition of Goodman & Gilman's The Pharmacological Basis of Therapeutics p-929 Patients with anemia secondary to chronic kidney disease are ideal candidates for Epoetin Alfa therapy. Recombinant human erythropoietin (Epoetin Alfa) is nearly identical to the endogenous hormone. The carbohydrate modification pattern of the recombinant form differs slightly from that of the native protein, but this difference apparently does not alter kinetics, potency, or immune-reactivity of the drug. Supplied in single use vials of from 2000 to 40000 U/mL for intravenous or subcutaneous administration.